Global age for caries detection and survey is
1. 5
2. 15
3. 12
4. 34

Correct answer: 3. 12